Which of the following structure does not pass through Cavernous sinus:
1. Middle Cerebral artery
2. Internal Carotid artery
3. Abducens nerve
4. Trochlear nerve

Correct answer: 1. Middle Cerebral artery

Explanation: Middle Cerebral artery (Ref: B.D. Chaurasia, 3rd Ed, Vol lll/Pg 72, 73) Relation of Cavernous sinus: A. Structures outside the sinus: (a) Superiorly: Optic tract, internal carotid artery, & anterior perforated substance (b) Inferiorly: Foramen lacerum & junction of greater wing of sphenoid (c) Medially: Hypophysis cerebri & sphenoid sinus (d) Laterally: Temporal lobe with uncus (e) Anteriorly: Superior orbital fissure & apex of the orbit (f) Posteriorly: Apex of petrous temporal bone & crus cerebri of midbrain B. Structures in the lateral wall of sinus: (a) Occulomotor nerve (b) Trochlear nerve (c) Ophthalmic nerve (d) Maxillary nerve (e) Trigeminal nerve C. Structures passing through the centre of sinus: (a) Internal carotid artery (b) Abducens nerve